All of the following are therapeutic effect for which cannabinoids are commonly used except?
1. Decreased intraocular pressure
2. Reduced muscle spasticity
3. Relief of nausea and vomiting
4. Weight loss

Correct answer: 4. Weight loss

Explanation: Ans. D. Weight lossTetrahydrocannabinol (THC) has been shown to stimulate appetite and assist with weight gain (not weight loss) in AIDS patients in short-term trials. When cannabinoids and cannabis are advocated for medical uses, it is primarily to relieve symptoms rather than to cure underlying diseases. The conditions for which cannabis is most commonly advocated are for symptomatic relief of nausea and vomiting caused by cancer chemotherapy, appetite loss in AIDS, and muscle spasticity and chronic pain in neurological disorders. Cannabis and THC have also been documented to reduce intraocular pressure by 25 percent, a therapeutic effect that may be useful in the treatment of glaucoma.